Glucose is reabsorbed in
1. PCT
2. DCT
3. Loop of Henle
4. Collecting tubules

Correct answer: 1. PCT

Explanation: Ans. a (PCT). (Ref. Ganong, Physiology, 21st/pg.713; Table 38-6.)PROXIMAL CONVOLUTED TUBULE (PCT) - "Workhorse of the nephron".# Reabsorbs all of the glucose, inorganic phosphate, Cl, lactate and amino acids and most of the bicarbonate, sodium, and water.# Secretes ammonia, which acts as a buffer for secreted H\Transport Proteins Involved in the Movement of Na+ and Cl Across the Apical Membranes of Renal Tubular Cells.SiteApical TransporterFunctionProximal tubuleNa+/ glucose CTNa+ uptake, glucose uptake Na+/ Pi CTNa+ uptake, Pi uptake Na+ amino acid CTNa+ uptake, amino acid uptake Na+/lactate CTNa+ uptake, lactate uptake Na+/H+ exchangerNa+ uptake, H extrusion Cl-/base exchangerCl- uptakeThick ascending limbNa+-K4-2CINa+ uptake, Cl uptake, K+ uptake Na+/H+ exchangerNa+ uptake, H+ extrusion K+ channelsK+ extrusion (recycling)Distal convoluted tubuleNaCI CTNa+ uptake, Cl uptakeCollecting ductNa+ channel (ENaC)Na+ uptake